Neuroleptic malignant syndrome is characterized by :
1. Hypothermia
2. Labile blood pressure
3. Bradycardia
4. Flaccidity

Correct answer: 2. Labile blood pressure